A 33 years old female presents with a history of 6months of amenorrhea. Biochemical investigations showed increased FSH and decreased Estradiol. Diagnosis is
1. PCOD
2. Hyperprolactinemia
3. Premature menopause
4. Ectopic pregnancy

Correct answer: 3. Premature menopause

Explanation: Premature menopause: Menopause setting before the age of 40 years 50 % reduction in androgen production 66% reduction in the oestrogen production FSH levels rise to as much as 50 fold Ref: Shaw Gynecology 17 e pg 87.